A 28 year old victim of gang rape is brought to you for examination. Which of the following test would you NOT expect to be positive in a sample material obtained from the victim's vagina?
1. Aluminium molybdate test
2. Barberio's test
3. Acid phosphatase test
4. Gettler's test

Correct answer: 4. Gettler's test

Explanation: Gettler's test is used in case of death due to drowning. Here the chloride content of blood in both sides of the heart are estimated. Also know Florence test depends on the choline present in semen and the product of the test are dark brown crystals of choline iodide. Barberio's test depends on spermin present in the semen and the product of the test are yellow needle shaped rhombic crystals of spermine picrate. Ref: Parikh, Edition 6, Page -726.